Which of the following is not used for thromboprophylaxis:
1. Heparin
2. Warfarin
3. Antithrombin III
4. Aspirin

Correct answer: 3. Antithrombin III

Explanation: Ans. (C) Antithrombin III(Ref: Katzung 10/e p544; KDT 8/e p664)Anticoagulants are mainly used for venous thrombosis and are highly effective in treatment and prophylaxis of deep vein thrombosis. Warfarin is the most commonly used drug in a patient with chronic atrial fibrillation (to prevent the thromboembolism).Aspirin and heparin in combination are recommended for unstable angina.Heparin can also be used in disseminated intravascular coagulation (defibrination syndrome).Anticoagulants are of little value in cerebral thrombosis once neurological deficit has occurred but these can be used to decrease the occurrence of stroke (antiplatelet drugs are preferred for this indication).